Hydroxyethyl starch is a ?
1. Vasodilator
2. Inotrope
3. Plasma expander
4. Diuretic

Correct answer: 3. Plasma expander

Explanation: Ans. is 'c' i.e., Plasma expander Plasma expanders These are high molecular weight substances which exerts colloidal osmotic (oncotic) pressure, and when infused i.v. retain fluid in the vascular compartment. Human plasma or reconstituted huma albumin are the best, However, the former carries the risk of transmitting serum hepatitis, AIDS, and latter is expensive. Therefore synthetic colloids are more often used. Desirable properties of plasma expander are : Should exert oncotic pressure comparable to plasma. Should remain in circulation and not leak out in tissues, or be too rapidly disposed. Should be pharmacodynamically inert.